Kanagawa's phenomenon is seen in ?
1. Pseudomonea aeuroginosa
2. Vibrio parahemolyticus
3. Shigella sonie
4. Proteus mirabilis

Correct answer: 2. Vibrio parahemolyticus

Explanation: Ans. is 'b' i.e., Vibrio parahemolyticus Strains of vibrio parahemolyticus isolated from patients are always hymolytic on Wagatsuma agar, while strains from environmental sources are always non-hemolytic. This linkage of enteropathogenicity to ability of hemolysis on Wagatsuma agar is called Kanagawa's phenomenon.